Avascular necrosis is the commonest in one of the following fracture -
1. Garden 1 and 2 fracture of femoral neck
2. Garden 3 and 4 fracture of femoral neck
3. Sub-trochanteric fracture of femoral neck
4. Baso-trochanteric fracture

Correct answer: 2. Garden 3 and 4 fracture of femoral neck

Explanation: AVN and non-union are almost always seen with displaced fracture (Garden's III & IV) and are less common with undisplaced fractures (Garden's I & II).